Sialosis refers to -
1. Bilateral parotitis
2. Sjogren's syndrome
3. Non inflammatory parotid enlargement
4. Bilateral salivary duct ectasia

Correct answer: 3. Non inflammatory parotid enlargement

Explanation: Ans. is 'c' i.e., Non inflammatory parotid enlargement Sialosis refers to symmetrical, painless, recurrent enlargement of the salivary glands.